HIV pt with malabsorption, fever, chronic diarrhea, with an acid-fast positive organism. What is the causative agent?
1. Giardia
2. Microsporidia
3. Isospora
4. E. histolytica

Correct answer: 3. Isospora